Discclosure of identity of rape victim is protected under which of the following section of IPC?
1. Sec 228 A
2. Sec 298 A
3. Sec 225 A
4. Sec 226 A

Correct answer: 1. Sec 228 A

Explanation: Punishment of revealing the identity of rape victim: If anyone prints or publishes the name or any matter which may reveal the identity of victim of rape, then he is punished with imprisonment for a term up to 2 years and fine (Sec. 228-A IPC). Ref - Krishan Vij textbook of forensic medicine and toxicology 5e ,